Wood lamp wavelength is
1. 360-385
2. 400-450
3. 280-320
4. 450-500

Correct answer: 1. 360-385

Explanation: Woods filter is opaque to all wavelengths it can pass only light between 320-400nm iadvl textbook of dermatology page 109